Chloroquine is given in high loading dose because of:
1. High volume of distribution
2. Poor GIT absorption
3. High first pass metabolism
4. All

Correct answer: 1. High volume of distribution

Explanation: Pharmacokinetics :Oral absorption of chloroquine is excellent. About 50% gets bound in the plasma. It has high affinity for melanin and nuclear chromatin: gets tightly bound to these tissue constituents and is concentrated in liver, spleen, kidney, lungs (several hundred-fold), skin, leucocytes and some other tissues. Its selective accumulation in retina is responsible for the ocular toxicity seen with prolonged use. Absorption after i.m. injection is also good. Chloroquine is partly metabolized by liver and slowly excreted in urine. The early plasma tYz varies from 3-10 days. Because of tight tissue binding, small amounts persist in the body with a terminal Ph of 1-2 months. ESSENTIALS OF PHARMACOLOGY page no 822